Neural crest cells give rise to all the dental structures except ?
1. Odontoblasts
2. Dentine
3. Enamel
4. Tooth pulp

Correct answer: 3. Enamel

Explanation: Ans. is 'c' i.e., EnamelTeeth developmentA) Neural crest derivaties (Derivatives of neuroectoderm)Mesenchymall cells (derived from neural crest) of dental papilla form :?i) Odontoblasts which form Dentineii) Tooth pulpB) Derivatives of surface ectodermIt gives rise to ameloblasts which form enamel.